A patient sustained blunt trauma to eye after that the developed sudden loss of vision with deep anterior chamber, Most likely cause is -
1. Lens dislocation
2. Berlin's oedema
3. Retinal haemorrhage
4. Recession of angle of AC

Correct answer: 1. Lens dislocation

Explanation: Amongst the given options only two can cause deep anterior chamber :-


Angle recession
Dislocation of the lens


In angle recession, glaucoma develops many years after the trauma and there is no sudden loss of vision.
Dislocation of lens can cause sudden loss of vision immediately.